Threshold level of herd immunity for Pertussis is?
1. 80%
2. 70%
3. 90%
4. 50%

Correct answer: 3. 90%

Explanation: Ans. is 'c' i.e., 90% Herd immunity It is the level of resistance of a community or group of people to a particular disease. It occurs when the vaccination of a portion of the population (or herd) provides protection to unprotected (non? vaccinated) individuals. Advantage of herd immunity It is not necessary to achieve 100% immunization to control a disease by providing herd immunity. When a certain percentage of population, is vaccinated, the spread of disease is effectively stopped. This critical percentage is referred to as herd immunity threshold. Disease Herd immunity threshod Diphtheria - 85% Measles - 83-94% Mumps - 75-86% Pertussis - 92-94% Polio - 80-86% Rubella - 80-85% Small pox - 83-85%